Which of the following agents is not used in management of Cushing syndrome?
1. Mitotane
2. Etomidate
3. Metyrapone
4. Amoxapine

Correct answer: 4. Amoxapine

Explanation: Agents used in Medical Management of Cushing Syndrome : Ketoconazole: inhibits P450 enzymes and lowers cortisol. Mifepristone: glucocorticoid receptor antagonist. Metyrapone: inhibits 11b hydroxylase. Mitotane: inhibit 11b hydroxylase and cholesterol side chain cleavage enzymes. It is preferred agent for management of adrenocortical carcinoma. Etomidate: used in sub-anaesthetic dose and lowers cortisol